False about transmission of Rubella ?
1. Droplet infection
2. Vertical transmission
3. Infection in early pregnancy causes milder disease
4. Fetus affected in late pregnancy may have only deafness

Correct answer: 3. Infection in early pregnancy causes milder disease

Explanation: Ans. is 'c' i.e., Infection in early pregnancy causes milder disease